A 62-year-old woman eats a high carbohydrate meal. Her plasma glucose concentration rises, and this results in increased insulin secretion from the pancreatic islet cells. The insulin response is an example of
1. Chemical equilibrium
2. End-product inhibition
3. Feed forward control
4. Negative feedback

Correct answer: 4. Negative feedback

Explanation: Negative feedback mechanisms ensure a proper level of hormone activity at the target tissue. After a stimulus (plasma glucose) causes a release of the hormone (insulin), conditions or products resulting from the action of the hormone (decrease sugar) tend to suppress its further release. In other words, the hormone (or one of its products) has a negative feedback effect to prevent oversecretion of the hormone or overactivity at thetarget tissueThe increase in plasma insulin lowers the plasma glucose concentration which in turn results in decreased insulin secretion